Which of the following is cause of RBBB
1. It can occur in a normal person
2. Pulmonary embolism
3. Corpulmonale
4. All of the above

Correct answer: 4. All of the above

Explanation: Ans. is 'd' i.e., All of the above Causes of RBBB Normal physiological Pulmonary embolism/corpulmonale Pulmonary artery hypertension ASD Rheumatic heart disease